False about TIPS
1. Shunt thrombosis is more common than stenosis
2. Encephalopathy is more common
3. Improves ascites and hydrothorax
4. Much better than control of bleeding than variceal ligation

Correct answer: 1. Shunt thrombosis is more common than stenosis

Explanation: Shunt stenosis is usually secondary to neointimal hyperplasia and is more common than thrombosis Ref: Sabiston 20th edition Pgno : 1439